The period of training for a village health guide is -
1. 1 month
2. 3 months
3. 6 months
4. 12 months

Correct answer: 2. 3 months

Explanation: After selection village health guide undergoes a short training in primary health care.The training is arranged in nearby health center,subcenter or any other suitable place for the duration of 200 hours ,spread over a period of 3 months.During training period they receive a stipend of Rs 200 per month (refer pgno:902 park 23rd edition)